Which antibody is seen in recent infection?
1. IgM
2. IgG
3. IgE
4. IgD

Correct answer: 1. IgM

Explanation: IgM IgM is Pentavalent Ig It has max molecular weight It has max sedimentation coefficient IgM is produced first in immune response 1st to appear following infection, indicates recent infection IgM plays a role in: - Opsonisation Classical complement pathway IgM & IgD are not present over B cell surface